DOC for intermittent preventive therapy during pregnancy in malaria is:
1. Proguanil
2. Pyrimethamine-dapsone
3. Sulfadoxine-pyrimethamine
4. Quinine

Correct answer: 3. Sulfadoxine-pyrimethamine

Explanation: Ans. is c, i.e Sulfadoxine - pyrimethamineRef. Williams 24/e, pg1257, high risk pregnancy fernando arias 4/e, pg 313Intermittent Preventive Therapy is a newer modification of prophylaxis. In chemo prophylaxis, the drugs have to be given daily or weekly, wherein in IPT the pregnant females are treated for malaria presumptively at fixed times (either twice or thrice) during pregnancy using drugs with long half life.The WHO allows for use of IPT during pregnancy. This consists of at least two treatment doses of sulfadoxine- pyrimethamine in second and third trimesters.DOC for chemoprophylaxis during pregnancy is chloroquine or hydroxyl chloroquine.